Hemorrhagic external otitis media is caused by -
1. Influenza
2. Proteus
3. Staph
4. Streptococcus

Correct answer: 1. Influenza